Examination of only the facial surfaces of the anterior teeth, using a basic fuchsin disclosing agent is done in which of the following index?
1. Plaque Index
2. Quigley Hein Plaque Index
3. Periodontal Disease Index
4. Shick & Ash Modification Of Plaque Criteria

Correct answer: 2. Quigley Hein Plaque Index

Explanation: THE QUIGLEY HEIN PLAQUE INDEX 
Quigley G. and Hein. J in 1962, reported a plaque measurement that focused on the gingival third of the tooth surface. They examined only the facial surfaces of the anterior teeth, using a basic fuchsin mouthwash as a disclosing agent. A numerical scoring system of '0' to '5‘ was used. 
The Quigley -Hein plaque index was modified by Turesky S. Gilmore N.D. and Glickman Lin 1970.
This modification was done by strengthening the objectivity of the original criteria. This system of scoring plaque is relatively easy to use because of the objective definitions of each numerical score. This index emphasizes the differences in plaque accumulation in the gingival third of the tooth.